All of the following can lead to increased Intracranial pressure except -
1. Meningitis
2. Subarachnoid Hemorrhage
3. Subdural hemorrhage
4. Migraine

Correct answer: 4. Migraine

Explanation: Ans. is 'D' i.e., Migraine o Many conditions can increase intracranial pressure. Common causes include: # Aneurysm rupture and subarachnoid hemorrhage # Intraventricular hemorrhage # Brain tumor # Meningitis # Encephalitis # Subdural hematoma # Head injury # Status epilepticus # Hydrocephalus (increased fluid around the brain) # Stroke # Hypertensive brain hemorrhage